Windkessel effect is seen in -
1. Large elastic vessels
2. Capacitance vessels
3. Throughfare channels
4. Capillaries

Correct answer: 1. Large elastic vessels

Explanation: Ans. is 'a' i.e., Large elastic vesselsLarge elastic arteries (windkessel vessels)* These vessels have well developed elastic laminae and therefore a lot of elastic tissue in their wall. The elastic walls prevent abrupt changes in BP a phenomenon called the Windkessel effect.* The walls are stretched during systole, preventing a sudden rise in BP. During diastole, the recoil back, preventing a sudden drop in BP.* Aorta and its immediate braches are windkessel vessels.